Conjunctival mucosal overgrowth over cornea -
1. Pterygium
2. Pingecula
3. Vernal keratoconjuncivitis
4. Herbert's pit

Correct answer: 1. Pterygium

Explanation: Pterygium is a non-cancerous (non-neoplasic) growth of conjunctiva, characterized by a wing-shaped fold of conjunctiva encroaching upon the cornea form either side within the interpalpebral fissure. Reference: AK khurana 7th edition page 89